Which indicates least chances of re-bleeding after hematemesis episodes:
1. Adherent clot on ulcer
2. Clean based ulcer
3. Gastric ulcer with AV malformation
4. Visible bleeding vessel.

Correct answer: 2. Clean based ulcer

Explanation: Most patients of hematemesis have a rebleed within the next 3 days of an episode. UGIE is diagnostic as well as prognostic as a clean based ulcer has a least chance of re-bleed while visible bleeding vessel has the highest chances.